Maximum Na+ concentration occurs in
1. Pancreatic secretion
2. Small intestinal secretion
3. Bile
4. Large intestinal secretion

Correct answer: 3. Bile

Explanation: Maximum Na+ concentration is seen in Bile > Pancreatic secretion > Small intestinal secretion.